The' 1/2 life of CO60 is:
1. 2.6 years
2. 5.2 years
3. 8 years
4. 3200 years

Correct answer: 2. 5.2 years

Explanation: Ans. 5.2 years